A child presents with lid lag and an enlarged cornea with a diameter of 13mm. Examination of the eye reveals double contoured opacities concentric to the limbus. Which of the following is the most likely diagnosis –
1. Superficial keratitis
2. Deep keratitis
3. Thyroid Endocrinopathy
4. Congenital Glaucoma

Correct answer: 4. Congenital Glaucoma

Explanation: An enlarged globe (Lid lag) with an enlarged corneal diameter ≥13mm along with characteristic Haab's stria (double contoured opacities concentric to limbus) suggest the diagnosis of congenital glaucoma.